Which of the following statements about Leptospirosis is true?
1. Rats are prime reservoirs
2. Fluoroquinolones are the drug of choice
3. Person to person Transmission is common
4. Hepatorenal syndrome may occur in upto 50% of patients

Correct answer: 1. Rats are prime reservoirs

Explanation: Rats and small rodents, particularly R.norvegicus and Mus musculus are the most important reservoirs. Ref: Preventive and Social Medicine, by K.Park, 19th edition, Page 243, 244; Harrison's Principle of Internal Medicine, 16th edition, Page 990.